Supination and Pronation occurs at ?
1. Wrist joint
2. Radio-ulnar joints
3. Elbow joint
4. Midcarpal jont

Correct answer: 2. Radio-ulnar joints

Explanation: Forearm rotation (supination & proration) occurs at radio-ulnar joint complexe i.e.Superior (proximal) radioulnar jointInferior (distal) radioulnar jointMiddle radioulnar joint